The spindle shaped age pyramid denotes
1. Developed country
2. Developing country
3. Underdeveloped country
4. Middle east country

Correct answer: 1. Developed country

Explanation: Age pyramids The age structure of a population is best represented as shown in the fig: Such a representation is called an "Age Pyramid". A vivid contrast may be seen in the age distribution of men and women in India and in Switzerland. The age pyramid of India is typical of developing countries, with a broad base and a tapering top. In the developed countries, as in Switzerland,* the pyramid generally shows a bulge in the middle, and has a narrower base Ref: Park 25th edition Pgno : 516